Clubbing is least common in:
1. Squamous cell carcinoma
2. Adenocarcinoma
3. Small cell carcinoma of lung
4. Mesothelioma

Correct answer: 3. Small cell carcinoma of lung

Explanation: Answer is C (Small cell Ca of Lung): `Skeletal connective tissue syndromes including clubbing is usually seen in no n small cell carcinomas 'H-1 6th Clubbing is thus least common with small cell carcinoma of lung